T. pallidum was discovered by -
1. Schaudinn and Hoffmann
2. Ellerman and Bang
3. Twort
4. Robert koch

Correct answer: 1. Schaudinn and Hoffmann

Explanation: Ans. is 'a' i.e., Schaudinn and Hoffmann